Which one of the listed statements best describes the process called chemotaxis?
1. Abnormal fusion of phagosomes to primary lysosomes
2. Attachment of chemicals to extracellular material to increase phagocytosis
3. Dilation of blood vessels by chemotherapeutic drugs
4. Movement of cells toward a certain site or source

Correct answer: 4. Movement of cells toward a certain site or source

Explanation: Chemotaxis is the unidirectional migration of cells toward a certain site or source.